Which of the following is best for ante-mortem diagnosis of rabies:
1. Antirabies antibodies in blood
2. Immunofluorescence of corneal impressions
3. Immunofluorescence of skin biopsy
4. Isolation of virus from saliva

Correct answer: 3. Immunofluorescence of skin biopsy

Explanation: Ans. C: Immunofluorescence of skin biopsy Ante mortem diagnosis in human cases is necessary for medical management of the patient and to ensure appropriate post-exposure treatment of contacts. Rabies can be confirmed in patients early in the illness by antigen detection using immunofluorescence of skin biopsy, and by virus isolation from saliva and other secretions. Immunofluorescence of corneal impression smears has proved unreliable. Neutralising antibodies are usually not detected in serum or CSF before the eight day.